In CA stomach, T4 lesion means
1. Involved till serosa
2. Involved till lamnia propria
3. Involved till submucosa
4. Involved till muscularis propria

Correct answer: 1. Involved till serosa

Explanation: T1a Tumour involves lamina propria T1b Tumour involvessubmucosaT2 Tumour invades muscularis propriaT3 Tumour involves subserosa T4a Tumour perforates serosaT4b Tumour invades adjacent organsBailey and love 27e pg: 1135